Deficiency of folic acid leads to
1. Pernicious anemia
2. Megaloblastic anemia
3. Iron deficiency anemia
4. Thalassemia

Correct answer: 2. Megaloblastic anemia